Gyrus not on the lateral aspect is
1. Superior temporal gyrus
2. Middle frontal gyrus
3. Cingulate gyrus
4. Inferior frontal gyrus

Correct answer: 3. Cingulate gyrus

Explanation: (C) Cingulate gyrus # Cingulate cortex, a part of the limbic cortex, is a part of the brain situated in the medial aspect of the cerebral cortex.> Cingulate cortex includes the entire cingulate gyrus, which lies immediately above the corpus callosum, and the continuation of this in the cingulate sulcus.> Cingulate cortex is usually considered part of the limbic lobe.> It receives inputs from the thalamus and the neocortex, and projects to the entorhinal cortex via the cingulum. It is an integral part of the limbic system, which is involved with emotion formation and processing, learning, and memory.> Combination of these three functions makes the cingulate gyrus highly influential in linking behavioral outcomes to motivation (e.g. a certain action induced a positive emotional response, which results in learning).> This role makes the cingulate cortex highly important in disorders such as depression and schizophrenia. It also plays a role in executive function and respiratory control.> Superior temporal gyrus is one of three (sometimes two) gyri in the temporal lobe of the human brain, which is located laterally to the head, situated somewhat above the external ear.